Screening method for medullary carcinoma thyroid is
1. S. alkaline phosphate
2. S. calcium
3. Serum calcitonin
4. S. acid phosphatase

Correct answer: 3. Serum calcitonin

Explanation: MCT can be of two types - sporadic and familial (occurring in MEN syn. 2A & 2B and Familial cases without MEN syn.) The familial MTC are more aggressive, multicentric (bilateral) and present at a younger age, therefore high risk cases should be screened for MTC by - detecting RET mutation. The genetic screening tests are supplemented by estimating serum calcitonin levels in the basal state and after stimulation by either calcium or pentagastrin. Prophylactic total thyroidectomy is indicated in RET mutation carriers once the mutation is confirmed. Ref : Bailey & love 25/e p797